The following statement about keloid is true ?
1. They do not extend into normal skin
2. Local recurrence is common after excision
3. They often undergo malignant change
4. They are more common in whites than in blacks

Correct answer: 2. Local recurrence is common after excision

Explanation: Ans. is 'b' i.e., Local recurrence is common after excision